Which among the following is the most common tumor associated with neurofibromatosis in a child?
1. Juvenile myelomonocytic leukemia
2. Acute lymphoblastic leukemia
3. Acute monocytic leukemia
4. Acute myeloid leukemia

Correct answer: 1. Juvenile myelomonocytic leukemia

Explanation: Patients with neurofibromatosis type 1 and Noonan syndrome have a predilection for JMML, since they have germline mutations involved in RAS signaling. AML and ALL are associated with DOWN syndrome.